Which of the following is a vinodilator?
1. Hydralazine
2. Minoxidil
3. Nitroprusside
4. Nifedipine

Correct answer: 3. Nitroprusside

Explanation: Ref:Katzung 10/e p173-174;KDT 6/e p540 Hydralazine, minoxidil and nifedipine are primarily aerioler dilators where as nitroprusside is a mixed aerioler and venous dilator, therefore best answer here seems to be nitroprusside